Which supraglottic airway devise offers maximum airway seal during positive pressure ventilation:-
1. LMA proseal
2. LMA classic
3. Igel
4. Laryngeal tube

Correct answer: 1. LMA proseal

Explanation: Among the supraglottic airway devise proseal has maximum seal Pressure thus has least chance of aspiration.